Incidence of Gingivitis in pregnency is
1. 10-20%
2. 20-30%
3. 40-50%
4. 50-100%

Correct answer: 4. 50-100%